The satiety centre is located in the
1. Lateral hypothalamic area
2. Ventromedian nucleus of hypothalamus
3. Dorsomedian nucleus of hypothalamus
4. Perifomical region

Correct answer: 2. Ventromedian nucleus of hypothalamus

Explanation: (B) Ventromedian nucleus of hypothalamus